Ectopic ACTH syndrome is seen most commonly with
1. Renal cell carcinoma
2. Lymphoma
3. Bronchogenic carcinoma
4. Pituitary adenoma

Correct answer: 3. Bronchogenic carcinoma

Explanation: * Ectopic ACTH production is predominantly caused by occult carcinoid tumors, most frequently in the lung, but also in thymus or pancreas. * Advanced small cell lung cancer can cause ectopic ACTH production. In rare cases, ectopic ACTH production has been found to originate from medullary thyroid carcinoma or pheochromocytoma, the latter co-secreting catecholamines and ACTH.